Middle meningeal artery is related which point in skull -
1. Nasion
2. Rhinion
3. Pterion
4. Lambda

Correct answer: 3. Pterion

Explanation: Ans. is 'c' i.e., Pterion o The pterion is situated in the floor of temporal fossao It is an H-shaped suture, where four bones meet each other :-i) Greater wing of sphenoidii) Squamous temporaliii) Frontaliv) Anterioinferior angle of parietalo Central point of pterion is known as Sylvian point, the cranium is very thin at this point. Its immediate deep relations are frontal branch of middle meningeal artery, its accompanying vein and stem of lateral sulcus of brain. Fracture at this point may injure middle meningeal artery or/and vein and give rise to extradural hemorrhage.